All are clinical features of Propofol infusion syndrome except:-
1. Lipaemia
2. Metabolic alkalosis
3. Bradycardia
4. Renal failure

Correct answer: 2. Metabolic alkalosis

Explanation: Propofol infusion syndrome is a rare but lethal syndrome seen when the dose of propofol infusion is greater than4 mg/kg/hour for 48 hoursor longer. This syndrome is common in children and critically ill adults. Clinical features: Acute refractorybradycardialeading to asystole in the presence of one or more of the following: Metabolic acidosis(base deficit >10 mmol/L) Rhabdomyolysis Hyperlipidemia Enlarged or fatty liver Other features - cardiomyopathy with acute cardiac failure, skeletal myopathy, hyperkalemia, hepatomegaly, and lipemia. The symptoms and signs are the results of muscle injury and the release of intracellular toxic contents. It is due todefect in mitochondrial metabolismandelectron transport chainfunction.